The most potent drug to reduce the plasma low density lipoprotein cholesterol level is
1. Plant sterols
2. Fibrates
3. Anion exchange resins
4. Statins

Correct answer: 4. Statins

Explanation: Refer kDT 6/e p 614 The Most Common Cholesterol Meds: Statins These are usually the first type ofdrug that doctors prescribe to lower LDL. They also lower triglycerides, which are another type of blood fat, and mildly raise your "good" (HDL)cholesterol. Statins include: Atorvastatin (Lipitor